2nd Most Common Hb in adult is
1. a 2 ss 2
2. a 2 g 2
3. a 2 d 2
4. ss 2 g 2

Correct answer: 3. a 2 d 2

Explanation: a 2 ss 2 is the most abundant Hb in adult About 2.5% of the hemoglobin is hemoglobin A2, in which b chains are replaced by d chains (a2d2) which is second most abundant Hb in adult humanRef: Ganong's Review of Medical Physiology Twenty-Third Edition Page No: 522